Ito's test is used in the diagnosis of the following infection:
1. Gonorrhoea
2. Herpes
3. Chancroid
4. Granuloma venereum

Correct answer: 3. Chancroid

Explanation: The Ito Reenstierna test was developed for detecting Haemophilus ducreyi using a commercial antigen by intradermal testing and proved positive in 90% of cases. Gram staining shows 'school of fish' or 'railroad track' appearance which is characteristic. Nucleic acid amplification tests are now the optimal method of diagnosing H. ducreyi. Ref: Oxford Textbook of Medicine: Infection edited by David Warrell, Timothy M. Cox, John Fih, Estee Torok, 2012, 375-376.